Expert witness comes under
1. Sec 142 IEA
2. Sec 45 IEA
3. Sec 32 IEA
4. Sec 141 IEA

Correct answer: 2. Sec 45 IEA

Explanation: Refer the byte "Legal sections".